Which of the following muscles doe NOT develop from the second pharyngeal arch
1. Posterior belly of digastric
2. Tensor palatine
3. Stapedius
4. Stylohyoid

Correct answer: 2. Tensor palatine

Explanation: Human embryology Tenth edition Inderbir Singh Page no 132 Second arch; facial muscle, occipitofrontalis, platysma, stylohyoid, posterior belly digastric stapedius auricular muscle